Dehiscence in the external auditory canal cause infection in the parotid gland via:
1. Fissure of Santorini
2. Notch of Rivinus
3. Petro-tympanic fissure
4. Retro pharyngeal fissure

Correct answer: 1. Fissure of Santorini

Explanation: (a) Fissure of Santorini(Ref. Cummings, 6th ed., 1981)The notch of Rivinus is the upper attachment of pars flaccida.Petro-tympanic fissure is present on the anterior wall of middle ear, on which attaches the anterior malleolar ligament.Retropharyngeal fissure does not exist.